Which of the following virus is notorious for increased mortality in pregnant patients?
1. Hepatitis A
2. Hepatitis B
3. Hepatitis E
4. Hepatitis C

Correct answer: 3. Hepatitis E

Explanation: Hepatitis E virus Endemic in India IP- 2-8 weeks (6 weeks) MOT : Faeco-oral route Usually self limited Not a/w chronic liver failure Highest mortality rate in pregnant women (20%)